Thiamine deficiency causes decreased energy production because
1. It is required for the process of transamination
2. It is co-fact or for oxidative reduction
3. It is co-enzyme for transketolase in pentose phosphate pathway
4. It is co-enzyme for pyruvate dehydrogenase and a- ketoglutarate dehydrogenase in Tricarboxylic acid pathway

Correct answer: 4. It is co-enzyme for pyruvate dehydrogenase and a- ketoglutarate dehydrogenase in Tricarboxylic acid pathway

Explanation: thiamine deficiency causes a decrease in energy production because it acts as a coenzyme in many energy producing processes Thiamine generally function in the decarboxylation reaction of alpha-keto acids and branched chain amino acids Pyruvate Dehydrogenase which converts Pyruvate to Acetyl CoA aKetoGlutarate dehydrogenase in Citric Acid Cycle which converts a KetoGlutarate to Succinyl CoA Branched Chain Ketoacid dehydrogenase which catalyses the oxidative decarboxylation of Branched Chain Amino acids Trans Ketolase in the Pentose Phosphate Pathway. This is the biochemical basis of assay of Thiamine status of the body ref DM Vasudevan 8th ed page 467